One of the following is not indicated for arterial leg ulcer -
1. Debridement
2. Elevation of limb
3. Head end of bed is raised
4. Low dose aspirin

Correct answer: 2. Elevation of limb

Explanation: Ans. is 'b' i.e., Elevation of limb Elevation of limb will reduce the blood supply